Birbeck granules in the cytoplasm is seen in:
1. Langerhans cells
2. Mast cells
3. Myelocytes
4. Thrombocytes

Correct answer: 1. Langerhans cells

Explanation: (Langerhans cells): Ref: 701-702-R, 463-HM (467-Basicpathology tfh)* The presence of Birbeck granules in the cytoplasm is characteristic of Langerhans cell histiocytosis (Tennis- rachet appearance)* As Birbeck granules are not seen in all tumours cells by electron microscopy the detection of 5-100 and CDla expression by immuno histochemical techniques aids in the diagnosis